Lead time is defind is -
1. Time between diagnosis and treatment
2. Time between point where the diagnosis is made by screening test to usual diagnosis
3. Time between disease onset and outcome
4. Time between usual time of diagnosis and outcome

Correct answer: 2. Time between point where the diagnosis is made by screening test to usual diagnosis

Explanation: Lead time is the advantage gained by screening. It is the period between diagnosis by early detection and diagnosis by other means Detection programmes should concentrate on those condition where the time lag between the disease's onset and it's final critical point is sufficiently long to be suitable for population screening Ref: 25th edition, Park's Textbook of Preventive and Social Medicine, Page no. 148